Exocrine pancreatic insufficiency, marrow failure with neutropenia is characteristic of:
1. Fanconi anemia
2. Diamond Blackfan syndrome
3. Shwachman - Diamond syndrome
4. Dyskeratosis congenita

Correct answer: 3. Shwachman - Diamond syndrome

Explanation: Disease Features Fanconi Anemia BM suppression, Short stature, Radial defect Diamond Blackman syndrome Short stature, Congenital facial, heart and skeletal defect Shwachman - Diamond syndrome Exocrine pancreatic insufficiency, Marrow failure, Neutropenia Dyskeratosis congenita Skin pigmentation defect Nail dystrophy